OPSI is related to
1. Kidney
2. Brain
3. Lung
4. Spleen

Correct answer: 4. Spleen

Explanation: Overwhelming post splenectomized infection (OPSI) is seen in patient's who have undergone splenectomy. post splenectomized patients are more prone to infections with pneumococcal septicaemia, Neisseria meningitides, H influenza, Babesia microfti And can occur any time after splenectomy SRB 5 the edition page no.677